Haversian systems (osteons) are found primarily in the
1. Spongy bone
2. Periosteum
3. Alveolar bone proper
4. Endosteum

Correct answer: 3. Alveolar bone proper